Arden index is related to
1. ERG (Electroretinogram)
2. EOG (Electroculogram)
3. VER (Visual Evoked response)
4. Perimetry

Correct answer: 2. EOG (Electroculogram)

Explanation: Electro-oculography is based on the measurement of resting potential of the eye which exists between the cornea (+ve) and back of the eye (-ve). Results of EOG are interpreted by finding out the Arden ratio as follows: Arden ratio = (Maximum height of light peak/Minimum height of dark trough) x 100 Normal curve values are 185 or above. Subnormal curve values are less than 150. Flat curve values are less than 125. Reference: A K KHURANA COMPREHENSIVE OPHTHALMOLOGY, Edition4 ,page-489,490